Hydropic degeneration of the basal cell of the stratum germinativum is a feature of?
1. Leukoplakia
2. Lichen Planus
3. Syphilis
4. Pemphigus

Correct answer: 2. Lichen Planus